The most common presentation of neonatal meningitis is –
1. Bulging fontanels
2. Nuchal rigidity
3. Poor feeding
4. Convulsion

Correct answer: 3. Poor feeding

Explanation: Meningitis in neonates and young infants 

Bacterial meningitis in the newborn and the first 4 to 6 months of life has many atypical features -


Neck rigidity and Kerning’s sign are seldom prominent
Anterior fontanel may or may not be bulging


Following arouse the suspicion of bacterial meningitis in a newborn -


i)  Vacant stare
ii) Refusal to suck (Poor feeding)
iii) Alternate irritability and drowsiness
iv) Persistent vomiting with fever
v) Poor tone
iv) Poor cry
vii) Fever or hypothermia
viii) Shock or circulatory collapse
ix) Tremor or convulsions
x) Neurological deficits of varying types